Punishment for criminal abortion for the women who gives consent and the performer are covered under IPC section ?
1. 312
2. 313
3. 314
4. 315

Correct answer: 1. 312

Explanation: Ans. is 'a' i.e., 312 Punishment for performing criminal abortion with the consent of women; both for the women and performer is included in IPC Section 312.